The fastest acting cycloplegic drug is:
1. Atropine
2. Tropicamide
3. Cyclopentolate
4. Homatropine

Correct answer: 2. Tropicamide

Explanation: Ans. Tropicamide